Metabolic syndrome X consists of all, EXCEPT:
1. High blood pressure
2. High LDL
3. Low HDL
4. Increased abdominal circmference

Correct answer: 2. High LDL

Explanation: Metabolic Syndrome X also known as insulin resistance syndrome consists of constellation of metabolic abnormalities that confer increased risk of diabetes mellitus and cardiovascular disease. The major features of the metabolic syndrome include central obesity (increased waist circumference), hypertriglyceridemia, low high density lipoprotein (HDL), hyperglycemia and hypertension. Ref: Metabolic Syndrome Pathophysiology: The Role of Essential Fatty Acids, By Undurti N. Das,1st Edition, Page 9.